Thalassemia major manifests in-
1. Childhood
2. Puberty
3. Adolescence
4. Middle age

Correct answer: 1. Childhood